External ballottement can be done after how many weeks of gestation:
1. 6 weeks
2. 16 weeks
3. 20 weeks
4. 24 weeks

Correct answer: 3. 20 weeks

Explanation: Ans. 20 weeks